Quetelet index is
1. Weight /Height
2. Height/Weight
3. Weight/square of height
4. Height / square of weight

Correct answer: 3. Weight/square of height

Explanation: Body Mass Index (BMI) is also called as Quetelet index. Ref: Park's Textbook of Preventive and Social Medicine 25 th Ed Pgno : 417